In a rural clinic, a 3-year-old girl child is brought by her mother and is emaciated. Her hemoglobin was 5 g/dL. The girl also has edema over her knees and ankles with discrete rash on her knees, ankles and elbows. The most likely worm infestation causing these manifestations is:
1. Hookworm
2. Roundworm
3. Whipworm
4. Pinworm

Correct answer: 1. Hookworm

Explanation: a. Hookworm(Ref: Nelson 20/e p 1734-1735)Hookworm infestation:Leads to intestinal blood loss - iron deficiency anemia & malnutrition - growth retardationDermatitis referred to as ground itch when they penetrate human skin, manifests as vesiculation & edemaInfection with a zoonotic hookworm, especially A. braziliense cutaneous tracts of cutaneous larva migransCough occurs when larvae migrate through lungs 1 week after exposure; Eosinophilia is often seen